A 63-year-old man develops pain and swelling in his knee. It appears warm, red, and swollen with decreased range of movement. A diagnostic aspiration is performed. Which of the following will most likely distinguish pseudogout from gout?
1. positive birefringent crystals
2. acute onset
3. involvement of single joints
4. involvement of large joints

Correct answer: 1. positive birefringent crystals

Explanation: Pseudogout (calcium pyrophosphate crystals - CPPD) is distinguishable from gout by positive birefringent crystals. CPPD are short, blunt rhomboids, and urate crystals (seen in gout) are needle-shaped with negative birefringence.